Rhabdomyolysis Is characterized by -
1. Proximal muscle weakness
2. Increased Mg++
3. Increased Ca++
4. Increased K+

Correct answer: 4. Increased K+

Explanation: Rhabdomyolysis is characterized by - Hyperkalemia Hypernatremia Hypocalcemia Hypophosphatemia, Hypokalemia causes Rhabdomyolysis Ref:Harrison 20 th edition pg no 303,306,309